A pulp vitality test which uses the principle of measuring the velocity of RBC in capillaries:
1. Laser doppler flowmetry.
2. Pulse oximetry.
3. Both.
4. None

Correct answer: 1. Laser doppler flowmetry.